Ulcerative colitis starts from:
1. Rectum
2. Sigmoid colon
3. Ascending colon
4. Any part

Correct answer: 1. Rectum

Explanation: Rectal involvement (proctitis) is the hallmark of the disease, and the diagnosis should be seriously questioned if the rectal mucosa is not affected.